All of the following conditions are risk factor for urinary tract infections in pregnancy except:
1. Diabetes
2. Hypertension
3. Sickle cell anemia
4. Vesicoureteral reflux

Correct answer: 2. Hypertension

Explanation: Risk factors for UTI include a Previous history Diabetes mellitus Pregnancy Underlying anomaly of the genitourinary tract such as tumors, calculi, strictures,VUR Incomplete bladder emptying Sickle cell disease